A male patient with symptoms of urethritis. Examination reveals only pus cells without any organism. Most likely cause is:
1. Chlamydia trachomatis
2. H. ducreyi
3. Treponema pallidum
4. M. tuberculi

Correct answer: 1. Chlamydia trachomatis

Explanation: Ans. is 'a' i.e., Chlamydia trachomatisRef: Harrison, 19th/e, p. 1165 and Ananthanarayan, 9th/e, p. 415Gram staining of samples shows presence of abundant pus cells but no bacteria (Intracellular bacteria) and Chlamydia cannot be grown on laboratory media like blood agar, chocolate agar, MacConkey agar etc.